Consumption of uncooked pork is likely to cause which of the following helminthic disease?
1. Taenia saginata
2. Taenia solium
3. Hydatid cyst
4. Trichuris trichura

Correct answer: 2. Taenia solium

Explanation: Taenia solium – Causative agent of CYSTICERCOSIS.
→ Deﬁnitive host = Adult worm lives in jejunum of man.

Intermediate host = Pig
Infected stage for pig = Eggs containing hexacanth larvae, so eggs are infective for both man & pig.

Infective stage for man:

Pork’s ﬂesh containing cysticercus cellulosae larvae or bladder worm.
Also by eggs either by ingestion in water/vegetables
Autoinfection by ﬁngers contaminated with  eggs from perianal skin or feces and retrograde peristalsis.